Which will develop into lung cancer:
1. Asbestosis
2. Silicosis
3. Byssinosis
4. Benzene exposure

Correct answer: 1. Asbestosis

Explanation: Asbestosis